Radial head ossifies at the age of:
1. 2 years
2. 4 years
3. 6 years
4. 10 years

Correct answer: 2. 4 years

Explanation: Ossifications around elbow Mn: C R I T O E C- Capitulum -2 years R- Radial head - 4 years I- Inner/medial epicondyle - 6 years T- Trochlea - 8 years O- Olecranon -10 years E- External/lateral epicondyle - 12 years